Which of the following method is adopted by a bacteria to spread its ability of resistance to multiple drugs?
1. Transformation
2. Transduction
3. Mutation
4. Conjugation

Correct answer: 4. Conjugation

Explanation: Conjugation, as the name implies, is gene transfer by direct cell-to-cell contact through a sex pilus or bridge. This complex mechanism for the spread of antibiotic resistance is extremely important because multiple resistance genes can be transferred in a single event. The transferable genetic material consists of two different sets of plasmid-encoded genes that may be on the same or different plasmids. One set encodes the actual resistance; the second encodes genes necessary for the bacterial conjugation process. Ref: Gumbo T. (2011). Chapter 48. General Principles of Antimicrobial Therapy. In L.L. Brunton, B.A. Chabner, B.C. Knollmann (Eds), Goodman & Gilman's The Pharmacological Basis of Therapeutics, 12e.